Calcification of soft tissues without any distrubances of calcium metabolism is called
1. Inotrohic calcification
2. Monotrophic calcification
3. Dystrophic calcification
4. Calcium induced calcification

Correct answer: 3. Dystrophic calcification

Explanation: Ref,Robbins 9/e p65